Oral medication used in the treatment of scabies –
1. Albendazole
2. Metronidazole
3. Ketoconazole
4. Ivermectin

Correct answer: 4. Ivermectin

Explanation: Ivermectin is the only oral drug, available for scabies treatment.